Rideal Walker test is used to determine the efficiency of the
1. Disinfectant
2. Moist heat sterilisation
3. Antibiotics
4. Dry heat sterilization

Correct answer: 1. Disinfectant